Drug used for post operative reversal of muscular paralysis -
1. Neostignuine
2. Pyridostigmine
3. Physostigmine
4. D tubocurare

Correct answer: 1. Neostignuine

Explanation: Ans. is 'a' i.e., Neostigmine o Neostigmine is routinely used after pancuronium and other long acting blocker to hasten recovery at the end of operation. It is preferred over physostigmine because it does not penetrate brain.